Major amino acid released from muscle during starvation
1. Arginine
2. Alanine
3. Hitidine
4. Glutamate

Correct answer: 2. Alanine

Explanation: Glucose-Alanine cycle (Cahill cycle) is transported to liver, transaminated to pyruvate and converted to glucose. This glucose may again enter the glycolytic pathway to form pyruvate, which in turn, can be transaminated to alanine. -alanine cycle is important in conditions of starvation (Fig. 9.30). Thus net transfer of amino acid (nitrogen) from muscle to liver and corresponding transfer of glucose (energy) from liver to muscle is affected. cycle is intimately related with Cori's cycleRef: DM Vasudevan, 7th edition, page no: 120